Which of the following viruses is capable of replication in enucleated cells?
1. Adenovirus
2. Cytomegalovirus
3. Poliovirus
4. Influenza virus

Correct answer: 3. Poliovirus

Explanation: Most RNA viruses (eg, poliovirus) replicate in the cytoplasm and therefore can replicate in enucleated cells. Poliovirus belongs to the family Picornaviridae. These viruses are nonenveloped and have an icosahedral nucleocapsid that contains positive-sense RNA. The exception to the rule regarding RNA viruses is the family Orthomyxoviridae, the influenza viruses. Orthomyxoviruses undergo transcription and RNA replication in the nucleus of the host cell because they need to cannibalize the capped 5' termini of cellular RNAs for use as primers for viral mRNA transcription. For most DNA viruses, transcription and DNA replication occur in the nucleus of the host cell. The exception to this observation is the family Poxviridae, which carries out its replication in the cytoplasm. Poxviridae includes variola virus, vaccinia virus, molluscum contagiosum, and orf virus. Adenoviruses are non enveloped and have an icosahedral nucleocapsid that contains a double-stranded linear DNA genome. Cytomegalovirus is a member of family Herpesviridae. It is an enveloped virus with an icosahedral nucleocapsid that contains a double-stranded linear DNA genome. Ref: Ray C.G., Ryan K.J. (2010). Chapter 12. Enteroviruses. In C.G. Ray, K.J. Ryan (Eds), Sherris Medical Microbiology, 5e.